Not true about right bronchus
1. Shorter
2. Wider
3. More horizontal
4. In the line of trachea

Correct answer: 3. More horizontal

Explanation: Ans. is 'c' i.e., More horizontal Trachea bifurcates at Carina (at lower border of T4 vertebra at T4-T, disc space) into right and left principal (primary) bronchi.Right principal bronchus is wider, shorter (2.5 cm long), and more vertical in the line of trachea (25deg with median plane.Therefore a foreign body is most likely to lodge in the right bronchus.Right bronchus divides into epiaerial and hyparterial bronchi, passing respectively above and below the pulmonary artery, before entering the hilum.Left principal bronchus is narrower, longer (5 cm long) and more horizontal (45deg with median plane). Left bronchus crosses in front of the esophagus producing a slight constriction.Inside the lung it divides into 2 lobar bronchi: upper and lower.